Folic acid :
1. Is also called as pteroyl glutamic acid
2. Is useful in carriage of one carbon atom moiety
3. Tetrahydrofolate is the active form
4. All of the above

Correct answer: 4. All of the above